A common cause of Primary hyperparathyroidism is:
1. Multiple parathyroid adenomas
2. Solitary parathyroid adenoma
3. Adrenal hyperplasia
4. Ectopic PTH production

Correct answer: 2. Solitary parathyroid adenoma

Explanation: Answer is B (Solitary parathyroid adenoma) : The most common cause of primary hyperparathyroidism is a parathyroid adenoma. A single/solitary abnormal gland is the cause in approximately 80% of patients - Harrison The abnormality of the gland is usually a benign neoplasm or 'adenoma' and rarely a parathyroid carcinoma